Most preferred technique for painless labour
1. Lumbar epidural
2. Sacral epidural
3. Lumbar + sacral epidural (double catheter technique)
4. Para cervical block

Correct answer: 1. Lumbar epidural

Explanation: the lumbar epidural replaced caudal analgesia as the preferred technique. Compared with the caudal route, lumbar epidural analgesia is more comfortable for the patient and easier to perform. The technique required less local anesthetic.. Ideally, an epidural is started when the woman is at least four centimetres dilated and in active labour (having strong and regular contractions) Ref Robbins 9/e pg 456